The following statements are related to rupture uterus except;
1. Lower segment scar rarely ruptures during pregnancy
2. b. In incomplete rupture the peritoneal coat remains intact
3. Classical caesarean scar often rupture during late pregnancy
4. Risk of lower segment scar rupture is high compared to classical scar rupture

Correct answer: 4. Risk of lower segment scar rupture is high compared to classical scar rupture

Explanation: Risk of lower segment scar rupture is LESS compared to a upper segment scar rupture as it can be better apposed and its healing is better during puerperium . (Sheila TB of obstetrics 2nd edition pg 338)